Which of the following is an investigation of choice to diagnose gall stones?
1. X ray abdomen
2. Ultrasound abdomen
3. ERCP
4. MRCP

Correct answer: 2. Ultrasound abdomen

Explanation: Ans. B. Ultrasound abdomenCholelithiasis involves the presence of gallstones which are concretions that form in the biliary tract, usually in the gallbladder. Choledocholithiasis refers to the presence of one or more gallstones in the common bile duct (CBD) Patients with uncomplicated cholelithiasis or simple biliary colic typically have normal laboratory test results, however these children should be investigated with haemoglobin, reticulocyte count, peripheral blood picture and other investigations to exclude haemolytic disease. Ultrasonography is the procedure of choice in suspected gallbladder or biliary disease. MRCP and ERCP have better accuracy than ultrasonography in diagnosing common bile duct stones.